All of the following drugs useful in the treatment of a patient with acute bronchial asthma except :
1. Ipratropium
2. Salbutamol
3. Montelukast
4. Hydrocortisone

Correct answer: 3. Montelukast

Explanation: Answer is C (Montelukast): `Leukotriene modifiers (eg. Monteleukast, Zafirulukast) may be considered as alternatives to low dose inhaled corticosteroids in patients with mild persistent asthma' - CMDT They have no role in aborting an attack of acute severe asthma.